Which of the following diseases is not a cause of indirect hyperbilirubinemia?
1. Rotor syndrome
2. Criggler Najjar syndrome
3. Gilbert syndrome
4. Hereditary spherocytosis

Correct answer: 1. Rotor syndrome

Explanation: Unconjugated bilirubinemia Conjugated bilirubinemia Physiological jaundice of newborn Hemolytic anemia (hereditary spherocytosis, etc.) Diffuse hepatocellular disease Criggler Najjar syndrome Gilbert syndrome Biliary tract obstruction Biliary tract disease like primary biliary cirrhosis Primary sclerosing cholangitis Dubin Johnson syndrome Rotor syndrome